All of the folowing opens into middle meatus except:
1. Middle ethmoidal air sinuses
2. Maxillary sinus
3. Posterior ethmoid sinuses
4. Frontal air sinus

Correct answer: 3. Posterior ethmoid sinuses

Explanation: Superior Meatus The superior meatus lies below the superior concha. It receives the openings of the posterior ethmoid sinuses.Middle MeatusThe middle meatus lies below the middle concha. It has a rounded swelling called the bulla ethmoidalis that is formed by the middle ethmoidal air sinuses, which open on its upper border.A curved opening, the hiatus semilunaris, lies just below the bulla. The maxillary sinus opens into the middle meatus through the hiatus semilunaris.The opening of the frontal air sinus is seen in the anterior part of the hiatus semilunarisInferior MeatusThe inferior meatus is below and lateral to the inferior nasal concha; the nasolacrimal duct opens into this meatus under cover of the anterior part of the inferior concha.